Ammonia is detoxified in brain to-
1. Uric acid
2. GABA
3. Urea
4. Glutamine

Correct answer: 4. Glutamine

Explanation: The brain is a rich source of glutamine synthase and predominantly detoxifies ammonia by synthesis of glutamate.